The most sensitive test to detect venous air embolism during the surgery is:
1. ECG
2. TEE
3. BIS
4. Doppler

Correct answer: 2. TEE

Explanation: TEE - Transesophageal echocardiography Transesophageal echocardiography(TEE) is a test that produces pictures of your heart.TEEuses high-frequency sound waves (ultrasound) to make detailed pictures of your heart and the arteries that lead to and from it. For Air embolism diagnosis most sensitive monitor isTransesophageal echocardiography, then Doppler ultrasonography and then capnography, ECG, spo2